Lymphogranuloma venerum is caused by :
1. Chlamydia trachomatis
2. Hemophillus ducrei
3. Human T cell lymphoma virus type II
4. Donovania granulomatis

Correct answer: 1. Chlamydia trachomatis

Explanation: Ans. is 'a' i.e Chlamydia trachomatis Lymphogranuloma venerum is caused by Chlamydia trachomatis type I, II and III.Other frequently asked questionsDiseaseOrganismChancroid(soft chancre)*Granuloma inguinale*Chance*LGV*Hemophilus ducreiCalymmatobacterium granulomatis,T. PallidumChlamydia trachomatis type I, II and III